A 14 yr old boy with abnormal movements. MRI shows involvement of bilateral striatum, thalami, puns, centrum semiovale and asymmetrical diffuse white matter involvement. What could be the possible diagnosis?
1. Wilson's disease
2. Hallevordon spatz disease
3. Nigrostriatal degeneration
4. Parkinsonism

Correct answer: 1. Wilson's disease

Explanation: Ans. Wilson's disease